Subarachnoid space ends at -
1. D12
2. L2
3. L5
4. S2

Correct answer: 4. S2

Explanation: The dura and arachnoid along with subarachoid space containing CSF extend upto 2nd sacral vertebra.